Calcium ions in skeletal muscles are
1. Transverse tubule
2. Longitudinal part
3. Terminal cistern
4. Sarcolemma

Correct answer: 3. Terminal cistern

Explanation: Spread of depolarization to terminal cistern with release of Ca2+ in the myofibrils.(Ref: Textbook of physiology AK Jain 5th edition page no.166)